Contraception with increased risk of actinomycosis -
1. OCPs
2. Condom
3. IUCD
4. Vaginal

Correct answer: 3. IUCD

Explanation: Ans. is 'c' i.e., IUCD o Actinomycosis may occur by use of IUCD.Side effects and complications of lUDs1. Bleeding - Most common2. Pain - Second major side effect3. Pelvic infection - PID4. Uterine perforation5. Pregnancy6. Ectopic pregnancy7. Expulsion8. Mortality' - extremely rare